A patient with suspected poisoning has brownish oral mucosa and tongue, constricted pupil and greenish brown urine, poisoning is with -
1. Carbolic acid
2. Morphine
3. H2SO4
4. Cannabis

Correct answer: 1. Carbolic acid

Explanation: Brownish oral mucosa and tongue (due to corrosion), constricted pupil and greenish brown urine is seen in carbolic acid (phenol) poisoning.